The operation for plication of lower lid retractors is done for?
1. Senile ectropion
2. Senile entropion
3. Cicatrical entropion
4. Paralytic entropion

Correct answer: 2. Senile entropion

Explanation: Senile entropion REF: Parson's diseases of the eye 20th e p. 432 Tucking or plication of inferior lid retractors (jones, Reeh, Wobig procedure) and inverted house shaped lid operation (Bick's procedure) is done for involutional entropion.